In a case of anaemia with thrombocytopenia, and neutrophils showing inclusions. What is the most probable diagnosis?
1. May hegglin anomaly
2. Evan syndrome
3. Alder reilly anomaly
4. Pelger huet anomaly

Correct answer: 1. May hegglin anomaly